Chondroblastoma most commonly occurs in:
1. Metaphysis
2. Diaphysis
3. Epiphysis
4. Medullary cavity

Correct answer: 3. Epiphysis